Large doses of vitamin K administered to a newborn result in:
1. Shortened bilirubinemia
2. Bulging of the fonatnelles
3. Hypoprothrombinemia
4. Hemolytic anemia

Correct answer: 4. Hemolytic anemia

Explanation: Ans. D i.e. Hemolytic anemia